Arjuna terminalis is used in the treatment of?
1. MI
2. CHF
3. AF
4. RHD

Correct answer: 2. CHF

Explanation: Ans. B. CHFNew drugs in the management of CHFa. Eplerenone (Aldosterone receptor blocker)b. Nesiritide (Vasodilation) (BNP analogue)c. Levosimendan used for the treatment of acute and decompensated CHF, exerts potent positive inotropic action and peripheral vasodilatory effects.d. Coenzyme Q is a universal antioxidant drug, improves diastolic volume and ejection fraction in CHF patients.e. Arjuna terminalisf. Hydralazine + isosorbide dinitrateg. Istaroxime - it is a positive inotropic agent that mediates its action through inhibition of Na+/K+ ATPase.h. Sildenafil - it is Phosphodiesterase-5 inhibitori. Omecamtiv & Mecarbil - these are selective myosin activator. They prolong the ejection period and increases fractional shortening.j. Serelaxin -- it is a Vasodilatorsk. Ultrafiltration (UF) _ it is an invasive fluid removal technique that may supplement the need for diuretic therapy